X-ray chest showing globular cardiomegaly with oligemic lung fields in a child is suggestive of
1. Tetralogy of fallot
2. TAPVC
3. Ebstein's
4. PDA

Correct answer: 3. Ebstein's

Explanation: Ans. Ebstein's